Common bile duct stones will manifest all except
1. Distended gallbladder
2. Jaundice
3. Itching
4. Clay coloured stools

Correct answer: 1. Distended gallbladder

Explanation: Clinical features of CBD stones Features of biliary obstruction due to CBD stones include biliary colic, jaundice, clay coloured stools and darkening of urine Fever and chills Serum bilirubin, aminotransferases, and ALP are commonly elevated Ref: Sabiston 20th edition Pgno :1494